A new born presents with mid anterior abdominal wall defect with characteristic spontaneous disappearance at age of 4 years
1. Patent urachus
2. Omphalocele
3. Ectopia vesicae
4. Umbilical hernia

Correct answer: 4. Umbilical hernia

Explanation: Umbilical hernia of infant is a hernia through a weak umbilicus, which may result partly from failure of the round ligament (obliterated umbilicalvein) to cross the umbilical ring and partly from absence of the Richet fascia. Both sexes seem to be equally affected.The hernia is often symptomless but increases in size on crying and assumes a classical conical shape. Obstruction or strangulation below the age of 3 yrs is extremely uncommon . Conservative treatment is indicated under the age of 2 years; when the hernia is symptomless, reassurance of the parents is all that is necessary, as 95% of hernias will disappear spontaneously. If the hernia persists at 2 years of age or older it is unlikely to resolve and herniorrhaphy is indicated. Reference : Bailey and Love's short practice of surgery 27th edition.chapter 60 . Pg no.1037